Urogenital Diaphragm is made up of all of the following, EXCEPT:
1. Colle's fascia
2. Sphincter urethrae
3. Perineal membrane
4. Deep transverse Perineal muscle

Correct answer: 1. Colle's fascia

Explanation: Urogenital diaphragm is a triangular musculofascial diaphragm situated in the anterior part of perineum, filling in the gap of the pubic arch. It is formed by the sphincter urethrae, deep transverse perineal muscles enclosed between superior and inferior layer of fascia of urogenital diaphragm. Inferior layer of fascia is called perineal membrane.The closed space contained between the superficial and deep layers of fascia is called deep perineal pouch. Ref: Clinical Anatomy for Medical Students By Richard S Snell, 6th Edition, Page